Study of designing equipment that fit human body, its movements and cognitive abilities
1. Economics
2. Bionomics
3. Ergonomics
4. Socionomics

Correct answer: 3. Ergonomics